A child with an obvious rash presents with recurrent infections. Investigation revealed decreased platelet count and reduced 1gM. Which of the following is the most likely diagnosis -
1. Idiopathic Thrombocytopenic Purpura
2. Thrombotic Thrombocytopenic Purpura
3. Wiskott-Aldrich Syndrome
4. All

Correct answer: 3. Wiskott-Aldrich Syndrome

Explanation: Ans. is 'c' i.e., Wiskott Aldrich Syndrome The classical triad of rash, thrombocytopenia and recurrent infection (immunodeficiency; .LIgM) suggest a diagnosis of Wiskott-Aldrich Syndrome.